A 40-year-old man notes a family history of colon carcinoma. He asks his physician how best to reduce his risk of developing this type of cancer. Which of the following dietary practices should he be advised to follow each day?
1. Consume more beef
2. Drink a glass of red wine
3. Eat more vegetables
4. Have a bowl of ice cream

Correct answer: 3. Eat more vegetables

Explanation: More fruits and vegetables are recommended in the diet to help prevent colon cancer. Vitamins C and E have an antioxidant and antimutagenic effect. Red wine in moderation may have a beneficial antiatherogenic effect. Ice cream can include animal fat that may promote cancer, as would the animal fat of beef. Chocolate includes vegetable fat, which is not as harmful as animal fat, and persons consuming chocolate perform at a higher level.